Which is not an Antimetabolite?
1. Methotrexate
2. 5 Fluorouracil
3. Gemcitabine
4. Vinca alkaloids

Correct answer: 4. Vinca alkaloids

Explanation: ANSWER: (D) Vinca alkaloidsREF: Harrisons 17th edition chapter 8, KDT, Goodman GillmanSee APPENDIX-37 for "CLASSIFICATION OF CANCER CHEMOTHERAPY AGENTS"